Scarpa's fascia is attached to
1. Inguinal ligament
2. Pubic crest
3. Fascia lata of thigh
4. Conjoint tendon

Correct answer: 3. Fascia lata of thigh

Explanation: The fascia of Scarpa is the deep membranous layer, of the superficial fascia of the abdomen. It is a layer of the anterior abdominal wall. It is found deep to the Camper Fascia and superficial to the external oblique muscle. Ref - BDC 6e vol2 pg199